Hematopoetic stem cell differ from progenitor stem cell in that they can
1. Form terminally differentiated cells
2. Have a role in bone marrow regeneration
3. Produce growth factors
4. Have receptors for anchoring proteins

Correct answer: 2. Have a role in bone marrow regeneration

Explanation: Ans. b. Have a role in bone marrow regeneration Hematopoietic stem cell differ from progenitor stem cell in that they can have a role in bone marrow regeneration. Progenitor stem cells are committed, don't have capacity of self-renewal and don't have a role in bone marrow regeneration, whereas hematopoietic stem cells have self-renewal capacity and thus, helps in bone marrow regeneration. Progenitor Stem Cells Committed stem cells lose their capacity to self-renewal. They become irreversibly committed (i.e. form terminally differentiated cells) Certain hormones or substances regulate them, so that they can proliferate and can undergo maturation. Progenitor stem cells are committed, don't have capacity of selfrenewal and don't have a role in bone marrow regenerations